Normal anion gap acidosis seen in?
1. Lactic acidosis
2. Keto acidosis
3. Methanol Poisoning
4. Hyperchloremic acidosis

Correct answer: 4. Hyperchloremic acidosis

Explanation: ANSWER: (Dl Hyperchloremic acidosisREF: Harrison s Internal Medicine 17th edition chapter 48 Table 48-4, http://en.wikipedia.org/wiki/Anion_gapRepeat from June 2009, December 2010All evaluations of acid-base disorders should include a simple calculation of the AG; it represents those unmeasured anions in plasma (normally 10 to 12 mmol/L) and is calculated as follows: AG = Na+ - (Cl- + HCO3-). When acid anions such as acetoacetate and lactate accumulate in extracellular fluid, the AG increases causing a high AG acidosis. An increase in the AG is most often due to an increase in unmeasured anions and less commonly is due to a decrease in unmeasured cations (calcium, magnesium, potassium).CAUSES OF HIGH-ANION-GAP METABOLIC ACIDOSIS:Lactic acidosisToxinsKetoacidosisEthylene glycolDiabeticMethanolAlcoholicSalicylatesStarvationPropylene glycol Pyroglutamic acidRenal failure (acute and chronic)